Transcription is the process of
1. Protein synthesis
2. DNA replication
3. Synthesis of RNA
4. None

Correct answer: 3. Synthesis of RNA

Explanation: Transcription is the process that several steps which results in synthesis of RNA from DNA by RNA polymerase enzyme. Ref : DM.VASUDEVAN.TEXTBOOK ; SEVENTH EDITION ; PAGE NO : 589